All are seen in chronic calcific pancreatitis except
1. Diabetes mellitus
2. Fat malabsorption
3. Hypercalcemia
4. Recurrent abdominal pain

Correct answer: 3. Hypercalcemia

Explanation: Clinical features of Chronic pancreatitis Classical triad: DM +pancreatic calcification +steatorrhoea (DPS) Abdominal pain is the primary manifestation and MC symptom of CP Intensity, frequency & duration of pain gradually increase with worsening disease Pancreatic inflammation and fibrosis decrease the number and function of acinar cells At least 90% of the gland needa to be dysfunctional before steatorrhoea, diarrhoea and other symptoms of malabsorption develop Exocrine insufficiency occurs in 80-90% of patients with long standing CP Diabetes is developed in 40-80% of patients, typically occurs many years after the onset of abdominal pain and pancreatic Exocrine insufficiency Ref: Sabiston 20th edition Pgno :1531